What is minimum of amount of taper that should be maintained for an ideal tooth preparation?
1. 4 degree
2. 5 degree
3. 6 degree
4. 12 degree

Correct answer: 3. 6 degree